The most common site of origin for venous thrombi leading to pulmonary embolism is
1. Ascending aorta
2. Portal vein
3. Deep leg veins
4. Right atrium

Correct answer: 3. Deep leg veins